Maximum loss of DALY occurs in which psychiatric disorder?
1. Depression
2. Schizophrenia
3. Alcohol dependence
4. Bipolar disorder

Correct answer: 1. Depression

Explanation: Unipolar depressive disorders - DALY lost: 64963.